An 18 year old boy presented with a belief that his penis is retracting in the abdomen and he will die when it complete retracts. What is this disorder called as?
1. Dhaat syndrome
2. Koro
3. Latah
4. Munchausen syndrome

Correct answer: 2. Koro

Explanation: * Koro: The patient has a fear that his penis will retract into the abdomen and would result in death Culture-bound syndromes are the disorders that are limited to a particular culture and are not seen worldwide. Few common culture-bound syndromes are: * Dhat syndrome: It is prevalent in the Indian subcontinent. The patient has a belief that he is passing semen in urine and this is resulting in physical and mental weakness. * Latah: It is characterized by automatic obedience, echolalia and echopraxia. Munchausen syndrome is a factitious disorder in which there is a willful production of symptoms to get medical attention .